Which of the following is an selective a 2 antagonist?
1. Prazosin
2. Labetalol
3. Yohimbine
4. Butoxamine

Correct answer: 3. Yohimbine

Explanation: Ans. is 'c' i.e., Yohimbine Selective a2-antagonists are yohimbine and idozoxon.